All of the following are true about autorefractometry except:
1. Quick procedure
2. Gives information about spherical and cylindrical error
3. Measures interpupillary distance
4. Subjective verification of refraction is not required

Correct answer: 4. Subjective verification of refraction is not required

Explanation: Ans. Subjective verification of refraction is not required